Maximum dose of lignocaine given with adrenaline for infiltration anaesthesia is :
1. 3 mg/kg
2. 5 mg/kg
3. 7 mg/kg
4. 10 mg/kg

Correct answer: 3. 7 mg/kg